Mooning is a form of
1. Exhibitionism
2. Transvestism
3. Voyeurism
4. Eonism

Correct answer: 1. Exhibitionism

Explanation: Flashing: The act of momentarily exposing or revealing sexual body part by quickly moving the clothing. Streaking: The act of running naked through a public place. Mooning: The act of displaying one's bare buttocks, by lowering the pants and bending over